In turner syndrome all are seen EXCEPT:
1. Webbed neck
2. Tall stature
3. Widening of long bones of leg
4. XO inheritance

Correct answer: 2. Tall stature

Explanation: Ans. (b) Tall statureRef: Shaws 15th ed. /110-111; Harrison 19/e 635; William's Gynecology Ch 16In turner syndrome* Deletion of genetic material from an X chromosome accounts for about two thirds of gonadal dysgenesis which leads to a condition called turner syndrome (XO).* A 45, X karyotype is found in about half of these patients, most of whom have associated somatic defects including short stature, webbed neck, low hairline, shield-shaped chest, widening of long bones, STREAK GONADS, renal anomalies (Horse-shoe kidney) and cardiovascular defects (COA).* Other features of turners syndrome is summarized in the image given.